Cochlear implant is done in:
1. Scala vestibuli
2. Scala tympani
3. Cochlear duct
4. Endolymphatic duct

Correct answer: 2. Scala tympani

Explanation: MIC Surgical approach for placing cochlea implant = Facial Recess approach (Posterior tympanotomy) which involves doing a cortical RTI mastoidectomy. From the middle ear the electrodes are then introduced into the scala tympani through the round window. Recently Veria technique (Non-Mastoidectomy technique) is gaining popularity for cochlear implantation. It uses transcanal approach.Advantage of Vera techniqueSimpleLess chances of injuring facial nerveSuitable in young children where mastoid has not developed fully.